Urinary alkalinizing agents are administered in case of poisoning due to drugs which are:
1. Weak bases
2. Weak acids
3. Strong bases
4. Strong acids

Correct answer: 2. Weak acids

Explanation: - Strong acids and bases are ionized in all media. Weak acids ionize in alkaline media and weak bases ionize in acidic media.